Triad of Balint's syndrome includes all of the following, except -
1. Opsoclonus
2. Optic ataxia
3. Simultagnosia
4. Ocular apraxia

Correct answer: 1. Opsoclonus

Explanation: Ans. is 'a' i.e., Opsoclonus o Balintfs syndrome is the classical human dorsal pathway syndrome.o It is associated with lesion in the B/L angular gyrus located in inferior parietal lobule.Triad of Balint's Syndrome: -Simuitagnosia# Inability to seen and interpret an entire visual scene despite the preserved perception of individual items in that scene.Optic Ataxia# Poor hand coordination under visual control. Classically patients should be able to touch parts of their own bodies or point to auditory> targets with their eyes shut. These patients have trouble doin these.Apraxia of gaze (Ocular apraxiaiIt is a nebulous term that encompasses several different types of saccadic dysfunction.